Which of the following statement regarding Eustachian tube dysfunction is wrong?
1. Undistoed light image on the anterior quadrant of tympanic membrane
2. No movement of the tympanic membrane on siegel's method
3. Malleus is easily visible
4. Lusterless tympanic membrane

Correct answer: 1. Undistoed light image on the anterior quadrant of tympanic membrane

Explanation: Normally Eustachian tube (ET) is closed and opens intermittently during yawning, swallowing and sneezing through active contraction of Tensor vili palatini muscle.